In Addison's disease drug to be given is -
1. Hydrocortisone
2. Betamethasone
3. Prednisolone
4. DOCA

Correct answer: 1. Hydrocortisone

Explanation: Ans. is 'a' i.e., Hydrocortisone o In Addison's disease, there is chronic insufficiency of adrenal hormones. o Both glucocorticoids and mineralocorticoids are deficient, therefore treatment includes combination of glucocorticoids and mineralocorticoid to replace the adrenal insufficiency. o Hydrocortisone along with fludrocortisone is prescribed most commonly.